Thimble bladder is seen in:
1. Diveiculae
2. Bladder stones
3. Schistosomiasis
4. Tuberculosis

Correct answer: 4. Tuberculosis

Explanation: Ans. D: Tuberculosis The most common finding in tuberculous cystitis is reduced bladder capacity. Typically, tuberculous cystitis manifests as a shrunken bladder with wall thickening. Occasionally, filling defects due to multiple granulomas may also be seen. In advanced disease, the bladder may be diminutive and irregular (thimble bladder). Advanced bladder involvement may be complicated by vesicoureteral reflux due to fibrosis involving the ureteral orifice. Calcification of the bladder wall is rarely seen.